Filariasis is cuased due to lymphatic obstruction by -
1. R vivax
2. V. bancrofti
3. C. sinerses
4. S. hemetabium

Correct answer: 2. V. bancrofti

Explanation: Ans. is 'b' i.e., V. bancrofti